Osteochondritis of the epiphysis of the head of the femur is
1. Panner's disease
2. Kienbock's disease
3. Perthes' disease
4. Osgood Shlatter's disease

Correct answer: 3. Perthes' disease

Explanation: Perthes' disease, the osteochondritis of the epiphysis of the head of the femur is the commonest osteochondritis.Maheswari 5e pg: 318